43 year old patient it has undergone cholecystectomy. She has developed bile leak. What is the preferred next step
1. HIDA scan
2. ERCP
3. Open CBD exploration
4. Observation

Correct answer: 2. ERCP

Explanation: Hida scan is helpful in diagnosing bile leak or obstruction but ERCP is both diagnostic and therapeutic.